A 72-year-old man is prescribed hydrochlorothiazide for hypertension. Which of the following is the most likely symptomatic side effect?
1. increased serum potassium
2. metabolic acidosis
3. sexual impotence
4. respiratory alkalosis

Correct answer: 3. sexual impotence

Explanation: The most common symptomatic side effect in men is impotence, and it should be specifically looked for. The most serious complications relate to fluid and electrolyte imbalance and include hyponatremia, hypokalemia, and volume contraction.